Rheumatic fever is commonly associated with affection of:
1. Tricuspid valve
2. Mitral valve
3. Aortic valve
4. Pulmonary valve

Correct answer: 2. Mitral valve

Explanation: Ans. B: Mitral valveRheumatic fever is a systemic disease affecting the peri-arteriolar connective tissue and can occur after an untreated Group A Beta hemolytic streptococcal pharyngeal infection.It is believed to be caused by antibody cross-reactivity. This cross-reactivity is a Type II hypersensitivity reaction and is termed molecular mimicry.Group A streptococcus pyogenes has a cell wall composed of branched polymers which sometimes contain M protein that are highly antigenic. The antibodies which the immune system generates against the M protein may cross react with cardiac myofiber protein myosin, heart muscle glycogen and smooth muscle cells of arteries, inducing cytokine release and tissue destruction.